Pharyngoconjuctival fever is caused by:
1. Parainfluenza virus
2. H. influenza
3. Cox sackie virus
4. Adenovirus

Correct answer: 4. Adenovirus

Explanation: Adenovirus